Bile ductopenia seen in -
1. GVHD
2. Alcoholic hepatitis
3. Autoimmune hepatitis
4. Cirrhosis

Correct answer: 1. GVHD